Ovulation is presumed to have occurred if progesterone level is __________ on day 21
1. 0.3 ng / mL
2. 3 ng / mL
3. 30 ng / mL
4. 300ng / mL

Correct answer: 2. 3 ng / mL

Explanation: Ovulation can be safely assumed to have occurred if progesterone level exceeds 3 ng / mL on cycle day 21.